For traumatic paraplegia investigation of choice is:
1. MRI For traumatic paraplegia investigation of choice is:
2. CT scan
3. X-ray
4. USG

Correct answer: 1. MRI For traumatic paraplegia investigation of choice is:

Explanation: Ans. MRI